Bronze baby syndrome is caused by:
1. Phototherapy
2. Phenobarbitone
3. Hemosiderosis
4. Chloramphenicol

Correct answer: 1. Phototherapy

Explanation: Bronze baby syndrome: is a dark, grayish brown skin discoloration mainly seen in infants with elevated conjugated bilirubin, as an adverse effect of phototherapy